Chronic renal failure is associated with
1. Metabolic acidosis
2. Respiratory acidosis
3. Respiratory alkalosis
4. Hypoxia

Correct answer: 1. Metabolic acidosis